Warfarin skin necrosis is caused by-
1. Protein C/Protein S deficiency
2. APLA
3. Vitamin K deficiency
4. Fibrinogen deficiency

Correct answer: 1. Protein C/Protein S deficiency

Explanation: Ans. (a) Protein C/Protein S deficiency(Ref: Wintrobe's 12th/pg 1490)Warfarin skin necrosisDue to warfarin-induced rapid reduction in protein C levels in patients with a pre-existing inherited protein C deficiency that results in a hypercoagulable state and thrombosis.Not all heterozygous protein C-deficient patients receiving warfarin experience this complication, and not all patients with this complication have protein C deficiency.